Pseudocholinesterase is synthesized by
1. Liver
2. Plasma
3. Muscle end plate
4. Nerve ending

Correct answer: 1. Liver

Explanation: Pseudocholinesterase which metabolizes succinylcholine is synthesized by liver and is present in plasma. True cholinesterase which metabolizes acetylcholine is synthesized by muscle end plate. Ref: KD Tripathi 8th ed.